An appendicular fistula is least likely to heal if -
1. The stump was sutured with vicryl
2. There is stenosis/narrowing of the sigmoid colon
3. Superadded infection
4. None

Correct answer: 2. There is stenosis/narrowing of the sigmoid colon

Explanation: Unrelieved obstruction of tube distal to fistula is a cause of persistence of fistula.